What does priapism in a polytrauma patient signify-
1. Penile injury
2. Spinal Injury
3. Significant head injury
4. Pelvic injury

Correct answer: 2. Spinal Injury

Explanation: Ans. is 'b' i.e., Spinal Injury "Priapism may be a feature of spinal cord injury"